Abdominal surgery under LA, patient suddenly felt pain due to -
1. Liver
2. Gut
3. Parietal peritoneum
4. Visceralperitoneum

Correct answer: 3. Parietal peritoneum

Explanation: Ans. is 'c' i.e., Parietal peritoneum "Embryologically parietal peritoneum is derived from the somatopleural layer of the lateral plate mesoderm. Its blood supply and nerve supply are the same as those of the overlying body wall. Because of the somatic innervation. it is pain sensitive. " -- BDC AnatomyAll the abdominal viscera and the visceral peritoneum have the same nerve supply i.e. autonomic innervation and therefore are pain insensitive.